All of the following statements about unfractionated heparin are true except:-
1. It is a powerful anticoagulant only in vivo
2. Protamine sulfate is the antidote
3. It should not be given by intramuscular route
4. It acts by inhibiting factor IIa and Xa

Correct answer: 1. It is a powerful anticoagulant only in vivo

Explanation: Heparin Warfarin 1. Route of administration parenteral (IV, SC) Oral 2. Onset of action Rapid Delayed (1-3 days) 3. Activity In vitro and in vivo In vivo only 4. MOA Activates Antihrombin III | Activation of II, VII, IX, X 5 Monitoring by aPTT PT 6. Antagonist Protamine sulphate Vit. K1 (Phytonadione) 7. Placental barrier Does not cross placenta Fetal warfarin syndrome 8. Use To initiate therapy For maintenance